Injury is defined under
1. Sec 46 IPC
2. Sec 228 IPC
3. Sec 44 IPC
4. Sec 90 IPC

Correct answer: 3. Sec 44 IPC

Explanation: Refer the byte "legal sections".